A child lost his maxillary right primary central incisor due to trauma, the pediatric dentist advised extraction of his maxillary left primary central incisor also, this approach is referred as:
1. Balancing extraction.
2. Compensatory extraction.
3. Wilkinson extraction.
4. There is not any approach of this kind.

Correct answer: 1. Balancing extraction.